The polypeptide chains of hemoglobin A are composed of
1. 1 alpha, 3 beta
2. 2 alpha
3. 2 alpha, 2 beta
4. 1 alpha, 2 beta, 1 delta

Correct answer: 3. 2 alpha, 2 beta

Explanation: Hemoglobin A has 2 alpha and 2 beta chains.
HbA2 has two alpha and two delta chains.